Inelastic impression material is:
1. Impression compound
2. Alginate
3. Agar
4. Polyether

Correct answer: 1. Impression compound